Perforins are produced by:
1. Cytotoxic T cells
2. Suppressor T cells
3. Memory helper T cells
4. Plasma cells

Correct answer: 1. Cytotoxic T cells

Explanation: Perforins are hole forming proteins synthesized by cytotoxic T-cells. They can perforate the plasma membrane of the target cells that are under attack by CD8+ lymphocytes. Granzymes are delivered into the target cells through these holes formed by perforins. In addition, the perforin pores allow water to enter the cells, thus causing osmotic lysis.